Bart's hydrops fetalis is lethal because -
1. Hb Bart's cannot bind oxygen
2. The excess a - globin form insoluble precipitates
3. Hb Bart's cannot release oxygen to fetal tissues
4. Microcytic red cells become trapped in the placental

Correct answer: 3. Hb Bart's cannot release oxygen to fetal tissues

Explanation: Ans. is 'c' i.e., Hb Bart's cannot release oxygen to fetal tissues `In the foetus excess gamma globin chains form tetramers (Hb Barts) with such high affinity for oxygen that they deliver almost no oxygen to tissues' - Robbins o Clinically this condition manifests as hydrops fetalis and fetus shows features similar to those of erythroblastosis fetalis ----> Severe pallor, Generalized edema, Massive hepatosplenomegaly